Ureteric colic characterized by all except
1. Acute onset
2. Stillness of the patients
3. Responds to antispasmodics
4. Radiates to the groin

Correct answer: 2. Stillness of the patients

Explanation: Pain due to inflammation is usually steady, whereas pain due to obstruction fluctuates in intensity. Thus the pain produced by ureteral obstruction is typically colicky in nature and intensifies with ureteral peristalsis, at which time the pressure in the renal pelvis rises as the ureter contracts in an attempt to force urine past the point of obstruction. Pain of intraperitoneal origin is seldom colicky, as with obstructive renal pain. Furthermore, pain of intraperitoneal origin frequently radiates into the shoulder because of irritation of the diaphragm and phrenic nerve; this does not occur with renal pain. Typically, patients with intraperitoneal pathology prefer to lie motionless to minimize pain, whereas patients with renal ( ref : Campbell - Walsh urology 11 th ed , chapter 1 , pg 2 ) pain usually are more comfortable moving around and holding the flank.